All of the following statements about trientine use in Wilson s disease are true except:
1. It is more potent than penicillamine.
2. It is used as an alternative to penicillamine in non- tolerant patients
3. It should not be administered within 2 hours of iron supplementation.
4. It can cause iron def anemia which is reversible by oral iron supplements

Correct answer: 1. It is more potent than penicillamine.

Explanation: Pencillamine is more effective.trientine is less efficacious in patients with neurological symptoms REF: KD tripadi 8th edition